Inositic acid is biological precursor of ?
1. Uracil and thymine
2. Purines and thy mine
3. Adenylic acid and guanylic acid
4. Orotic acid and uridylic acid

Correct answer: 3. Adenylic acid and guanylic acid

Explanation: C i.e., Adenylic & guanylic acid